All are seen in von hippel lindau syndrome except
1. Renal cysts
2. Hemangioblastoma
3. Renal clear cell carcinoma
4. Gastric carcinoma

Correct answer: 4. Gastric carcinoma

Explanation: von Hippel - Lindau (VHL) disease is an autosomal dominant cancer syndrome from mutation in tumour suppressor VHL gene located on chromosome 3p. It includes: haemangioblastoma of the cerebellum, retinal angiomas, multiple RCC (clear cell type), pheochromocytoma and cysts in different organs. Reference : page 694 Textbook of pathology Harshmohan 6th edition